On performing retinoscopy, movement of red reflex does not occur with the movement of retinocope in
1. Emmetropia
2. >1D Myopia
3. < 1D Myopia
4. Hypermetropia

Correct answer: 2. >1D Myopia

Explanation: In > 1D Myopia, movement of red reflex occurs against the movement of retinoscope. In rest, it occurs with the movement of retinoscope.